Which is the most pulsatile tumor found in external auditory meatus which bleeds on touch?
1. Squamous cell ca of pinna
2. Basal cell ca
3. Adenoma
4. Glomus tumor

Correct answer: 4. Glomus tumor

Explanation: Glomus tumor is the neoplasm of middle ear, it may perforate the tympanic membrane and appears as a polypus in the external auditory meatus which bleeds profusely if touched.